The premature loss of Reduced Enamel Epithelium (REE) permits connective tissue to come in direct contact with enamel thus depositing a thin layer of cementum on the cervical enamel. This cementum is of which type?
1. Cellular mixed fiber cementum
2. Cellular mixed stratified cementum
3. Acellular extrinsic fiber cementum
4. Acellular afibrillar cementum

Correct answer: 4. Acellular afibrillar cementum